A mutation in the codon which causes a change in the coded amino acid, is known as
1. Mitogenesis
2. Somatic mutation
3. Missense mutation
4. Recombination

Correct answer: 3. Missense mutation

Explanation: Missense mutation causes change in codon so that it codes for a different amino acid.